Patient came to the OPD with recent onset photphobia within 24 hours and sloughing corneal ulcer. There is greenish ulcer base. Which of the following can be the causative organism:
1. Acanthamoeba
2. Nocardia
3. Pseudomonas
4. Herpes

Correct answer: 3. Pseudomonas

Explanation: Pseudomonas Ulcer Rapid onset & Greenish ulcer base Produce biofilm that cause resistance MC cause of infection in contact lens users Nocardia ulcer resembles fungal ulcer in its characteristics.